Which of the following is true regarding Fluorescence?
1. Spontaneous illumination in dark
2. Release of longer wavelength light on absorbing light of shorter wavelength
3. Release of shorter wavelength light on absorbing light of longer wavelength
4. Continuous emission of lights of different wavelength

Correct answer: 2. Release of longer wavelength light on absorbing light of shorter wavelength

Explanation: Ans. b. Release of longer wavelength light on absorbing light of shorter wavelength (Ref: Tietz' Fundamentals of Clinical Chemistry 5/e p75; Lehninger 4/447; Harper 29/e p311)In Fluorescence, there is release of longer wavelength of light on absorbing light of shorter wavelength is seen.FluorescenceIt is the emission of light by a substance that has absorbed light or other electromagnetic radiationQ.It is a form of luminescenceQIn most cases, the emitted lights have a longer wavelength and lower energy than the absorbed radiationQ.